Cribriform, Honey comb (or) swiss cheese histology pattern is seen in
1. Adenoid cystic carcinoma
2. Pleomorphic adenoma
3. Acinic cell carcinoma
4. Clear cell carcinoma

Correct answer: 1. Adenoid cystic carcinoma